Atria mortis other name for?
1. Gateways of death
2. Gateways of life
3. Gateways of air
4. Gateways of water

Correct answer: 1. Gateways of death

Explanation: Ans. is 'a' i.e., Gateways of death